Near double stranded DNA among the following
1. Hepatitis A
2. Hepatitis B
3. Hepatitis C
4. Hepatitis D

Correct answer: 2. Hepatitis B

Explanation: (B) Hepatitis B # Genome of HBV is made of circular DNA, but it is unusual because the DNA is not fully double-stranded.> One end of the full length strand is linked to the viral DNA polymerase.> The genome is 3020-3320 nucleotides long.